Which of the following pubertal events in girls is not estrogen dependant
1. Menstruation
2. Vaginal cornification
3. Height spurt
4. Hair growth

Correct answer: 4. Hair growth

Explanation: Functions of estrogen Estrogen changes the vaginal epithelium from cuboidal to stratified type,which is more resistant to trauma and infection Marked proliferation of endometrial stroma and greatly increases the development of the endometrial glands - Menstruation Development of the stromal tissue of breast, growth of an extensive ductile system and deposition of fat Increase in osteoblastic activity and growth rate becomes rapid for several years Estrogens do not greatly affect hair distribution and growth. However hair develops in the pubic region and axilla after puberty. Androgens produced by the adrenal glands are responsible for this TEXTBOOK OF MEDICAL PHYSIOLOGY,GUYTON,Pg no:905,906,8th edition